Solid waste is treated by
1. Autoclaving
2. Microwave
3. Chemical treatment
4. All of the above

Correct answer: 4. All of the above

Explanation: Solid waste can be treated by incineration, autoclaving, microwaving, mutilation/shreddingPark 23e pg: 792